Salivary gland stone most commonly associated with -
1. Submandibular gland
2. Parotid gland
3. Sublingual gland
4. Minor-salivary gland

Correct answer: 1. Submandibular gland

Explanation: (A) (Submandibular gland) (483 - S. Das 7th) (727 - Baily & Lake 26th)* Salivary stones are ore common in the submandibular saligand gland than in parotid gland.* Stones develop more frequently within the duct of the submandibular gland (Wharton's duct).* Main content is calcium and magnesium phosphate (same as tarter of tooth).* Painful swelling during meal is the most important symptoms.* 80% of submandibular stones are radio-opaque and can be identified on plain radiography.* Acute parotitis is a contraindicated for sialography.* Warthin's tumour is - An adenolymphoma of parotid (Papillary cystadenoma lvmphomatusum) gland.* Common in males, 5th to 1th decade, never turns malignant.* Show's "hot spot" in Tc99 pertechnate scan, other tumours of the parotid show 'cold spot'* Treatment - superficial parotidectomy.Godwin's tumour - Benign lymphoepithelial tumour of parotid gland.Ranula - is a retention cyst of minor salivary glands (Glands of Bandin and Nuhn).* Present as transluscent bluish, swelling in the floor of the mouth, lying one side of the midline.* Complete excision or marsupialization for large cyst.* Mixed tumours (pleomorphic adenoma) are most common in the parotid gland.